Leptospira icterohaemorrhagiae infection is transmitted by the following animals
1. Rats
2. Dogs
3. Birds
4. Bats

Correct answer: 1. Rats

Explanation: (A) Rats # Leptospiral infection Serotype: Icterohaemorrhage Disease: Weil's disease Clinical picture: Fever, jaundice, haemorrhages Animal reservoir: Rat Distribution: Worldwide> Several animals act as carriers for Leptospira.> Rats are particularly important for Leptospira as they are ubiquitous and carry most pathogenic serotype iceterohemorrhagiae.> Source of Infection of Leptospira : Leptospira are excreted in the urine of infected animals for a long time, often for an entire life time in cases of rodents> Animal Reservoirs: Leptospirosis affects wild and domestic animals worldwide especially rodents such as rats, mice and voles.